All are used in painful diabetic neuropathy, except-
1. Phenytoin
2. Local use of capsicum
3. Dextroamphetamine
4. Amitriptyline

Correct answer: 3. Dextroamphetamine

Explanation: Chronic, painful diabetic neuropathy is difficult to treat but may respond to the following: * Intensive insulin therapy (strict glycaemic control) * Anticonvulsants (gabapentin, pregabalin, carbamazepine, phenytoin) * Other antidepressants (duloxetine) * Tricyclic antidepressants (amitriptyline, imipramine) * Substance P depleter (capsaicin--topical) * Opiates (tramadol, oxycodone) * Membrane stabilisers (mexiletine, intravenous lidocaine) * Antioxidant (alpha-lipoic acid) Reference : page 833 Davidson's Principles and practice of Medicine 22nd edition